What is/are true about bilirubin?a) Conjugation is rate limiting stepb) Bilirubin has affinity for elastinc) Conjugated bilirubin is maximum in bloodd) Total Hb content of body is 750 gm
1. c
2. d
3. ab
4. bd

Correct answer: 4. bd

Explanation: Excretion of conjugated bilirubin into biliary canaliculi is the rate limiting step in bilirubin metabolism
Bilirubin has affinity for elastin, therefore jaundice is most easily seen in the sclera.
Normally unconjugated bilirubin is more than conjugated bilirubin, in blood
Total bilirubin              → 0.3 – 1.9 mg/dl
Conjugated bilirubin     → 0 to 0.3 mg/dl
Unconjugated bilirubin  → Total – conjugated (0.3 – 1.6 mg/dl)
Normally hemoglobin content of blood is between 120-160 gm/L (Harrison 17th/e p. A-2), and a normal adult usually have 5 litre of blood. So total hemoglobin is 600 - 800 gm.